Most common type of cyst in jaw
1. Radicular
2. Dentigerous cyst
3. Solitary bone cyst
4. Nasolabial cyst

Correct answer: 1. Radicular

Explanation: Radicular Radicular Cyst 1. Also known as dental cyst or periodontal cyst or periapical granulomaQ 2 Most common cyst of jaw 3 It usually develops due to continuous irritation of infected tooth which stimulate the nests of cell to proliferate. 4 Occur more frequently in upper jaw. Presentation * Cyst present at the apexQ of the affected tooth * Expansion of jaw * Painless (unless infected) * Bone in thinned out with eggshell crackling. X- ray- well circumscribed radiolucency at the apex of the affected tooth. The margin of the cyst may be sclerosed. Treatment- Extraction of the carious tooth with curettage (intra oral approach)